Deposition of protein 'A beta 2m' is seen in which clinicopathologic category of amyloidosis -
1. Familial Mediterranean fever
2. Hemodialysis associated
3. Senile cerebral
4. Systemic senile

Correct answer: 2. Hemodialysis associated

Explanation: Ans. is 'b' i.e., Hemodialysis associated